Regulation of blood flow is maintained by
1. Arteries
2. Venules
3. Capillaries
4. Arterioles

Correct answer: 4. Arterioles

Explanation: (Refer: Ganong's Review of Medical Physiology 24thedition, pg no: 570-572, 577)